Which of the following most commonly causes intraorbital metastasis in female?
1. Breast cancer
2. Cervical cancer
3. Ovarian cancer
4. Endometrial cancer

Correct answer: 1. Breast cancer

Explanation: Ans. is a, i.e. Breast cancerRef: Journal of head and neck oncology 2011Orbital metastasis occurs in 2to3% of cancers. Metastasis of breast cancer accounts for majority of ocular and orbital metastasis.